Which antiarrhythmic in not class IC agent
1. Propafenone
2. Tocainide
3. Flecanaide
4. Encanaide

Correct answer: 2. Tocainide

Explanation: Tocainide comes under class 18, along with phenytoin, lidocaine and mexiletinePropafenone, moricizine and flecainide are included in class ICMexiletine and tocainide are analogs of lignocaine with structures that have been modified to reduce first pass hepatic metabolism to make chronic oral therapy effectiveTheir electrophysiological actions are similar to lidocaine.Tremor and nausea are the major dose related adverse effects